Treatment of torse de pointes:
1. Propranolol
2. Calcium channel blocker
3. MgSO4
4. Lignocaine

Correct answer: 3. MgSO4

Explanation: Ans. C. MgSO4 Torse de pointe blocks the out potassium and inward calcium channel due to which there is prolongation of QT interval. Drug causing this are thiazides, ondansetron, sotalol. Drug of choice to terminate this magnesium sulfate.